Liddle syndrome is caused by a genetic defect in
1. Na-K-2Cl co-transporter in the thick ascending limb of loop of henle
2. Na-Cl cotransporter in the distal tubule
3. ENasodium Channel in collecting duct/tubule
4. The aquaporin 2 (AQP2) channel in collecting duct

Correct answer: 3. ENasodium Channel in collecting duct/tubule

Explanation: Liddle syndrome is caused by hyperactivity of the Amiloride-sensitive sodium channel (ENaC) of the principal cell of the cortical collecting tubule. Liddle syndrome is a rare autosomal dominant disorder of renal epithelial transport that clinically resembles primary aldosteronism with hypertension and hypokalemia metabolic alkalosis and with low plasma renin and aldosterone levels. Bartter syndrome (Mimics loop diuretics) Gitelman's syndrome (MImics Thiazide Diuretics) Liddle Syndrome (Mimics Primary Aldosteronism) Autosomal recessive disorders Autosomal recessive disorder Autosomal Dominant Genetic defect in the thick ascending limb of loop of henle Defects in Na-K-2Cl co-transporter , K or Cl channels result in lack of concentrating ability Genetic defect in the distal tubule Defect in Na-Cl cotransporter in the distal tubule Genetic defect in the collecting tubule Caused by hyperactivity of the Amiloride-sensitive sodium channel (ENaC) of the principal cell of the cortical collecting tubule Presentation Diagnosis Hypokalemic- Metabolic acidosis with Hypertension Liddle's syndrome Hypokalemic Metabolic Alkalosis without hypertension Bartter syndrome (Increased urinary Ca Excretion) Gitelman's syndrome (Decreased Urinary Ca Excretion) Ref: Ganong